Schmidt syndrome includes all of the following except:
1. Adrenal insufficiency
2. Hypothyroidism
3. Type-1 Diabetes Mellitus
4. Chronic Candidiasis

Correct answer: 4. Chronic Candidiasis

Explanation: Schmidt syndrome is part of polyglandular Autoimmune Syndrome Type II and is not associated with Candidiasis. Polyglandular Autoimmune Syndrome Type II : Schmidt syndrome refers to the combination of autoimmune adrenal insufficiency with autoimmune thyroid disease and/or type I diabetes Mellitus Schmidt syndrome Autoimmune Adrenal insufficiency Autoimmune Thyroid disease and/or Diabetes Mellitus Schmidt syndrome is part of a larger syndrome known as Polyglandular Autoimmune Syndrome Type II Ref: Oxford Handbook of Cinical immunology and Allergy 3rd edition/180